Characteristic finding in CT in a TB case is -
1. Exudate seen in basal cistern
2. Hydrocephalus is noncommunicating
3. Calcification commonly seen in umbellium
4. Ventriculitis is a common finding

Correct answer: 1. Exudate seen in basal cistern